Increase in alkaline phosphatase is seen in:
1. Chronic myeloid leukemia
2. Leukemoid reaction
3. Eosinophilia
4. Malaria

Correct answer: 2. Leukemoid reaction

Explanation: LAP is found in the membranes of secondary granules of neutrophils. Its activity is measured in mature neutrophils and band cells only. Esinophils donot show alkaline phosphatase activity and must not be mistaken with mature neutrophils with a score of zero.Malaria is characterized by monocytosis.( ref Robbins 8/e p595, 9/e p584)